Patients with Hashimoto's thyroiditis are at increased risk of developing -
1. Papillary carcinoma
2. Follicular carcinoma
3. T-cell lymphoma
4. B-cell lymphoma

Correct answer: 4. B-cell lymphoma

Explanation: There is increased risk of developing B - cell lymphoma in Hashimoto's thyroiditis.